Drug used for absence seizure?
1. Lamotrigine
2. Carbamazepine
3. Phenytoin
4. Vigabatrine

Correct answer: 1. Lamotrigine

Explanation: Ans. is 'a' i.e., Lamotrigine